Location of GLUT 5 is
1. RBC
2. Liver
3. Small intestine
4. Placenta

Correct answer: 3. Small intestine

Explanation: Ans: C Small intestine (Ref: Ganong 25'h/e p. 433)GLUT 5 - Fructose transport - Jejunum, sperm